A positive "Stallworthy's sign" is suggestive of which of the following conditions:
1. Twin pregnancy
2. Breech presentation
3. Vesicular mole
4. Low lying placenta

Correct answer: 4. Low lying placenta

Explanation: If the earlier scan showed placenta completely over the internal os it is most likely to persist in the later scans.If the 18 -20 weeks scan revealed a low lying placenta or marginal placenta praevia,placental localization is best repeated around 32 weeks (refer pgno:130 sheila textbook of obstetrics 2 nd edition)